Which of the following statement is false?
1. Sleep apneas can be central (CSA) or obstructive (OSA)
2. In CSA the neural drive to all respitory muscles is transiently abolished
3. In OSA airflow ceases despite contuning respitatory drive because of occlusion of oropharyngeal airway
4. CSA is caused by decreased sensitivity to pCO2,

Correct answer: 4. CSA is caused by decreased sensitivity to pCO2,

Explanation: Sleep apneas may be due to an occlusion of the airway (obstructive sleep apnea), an absence of respiratory effort (central sleep apnea), or a combination of these factors (mixed sleep apnea).CSA is often caused by an increased sensitivity to pCO2, which leads to an unstable breathing pattern that manifests as hyperventilation alternating with apnea.Due to this, respiratory centre fails to react quickly enough to maintain an even respiratory rate, allowing the entire respiratory system to cycle between apnea and hyperpnea, the sleeper stops breathing for up to two minutes and then starts againHarrison 19e pg: 1727